In acute myocardial infarction the best drug to cause thrombolysis and to start reperfusion
1. Steptokianase
2. Urokinase
3. Tissue plasminogen activator
4. Anisoylated plasminogen steptonase activator complex

Correct answer: 3. Tissue plasminogen activator